Reactive depression is similar to:
1. Dysthymia
2. Double depression
3. Adjustment disorder
4. Post-traumatic stress disorder

Correct answer: 3. Adjustment disorder

Explanation: Reactive depression: * Type of non-endogenous depression It is depression secondary to external events leading to significant psychological stress. External events like - Breakup, job loss, death of a close relative or friend In ideal case, the depression would not have occured without the stress to which it is a reaction. It continues as long as the event is present, and it terminates with the reversal of the event (e.g., return of the lover) Self limiting condition It is similar to adjustment disorder. Adjustment disorder is a disorder characterized by mild depressive and anxiety features characterized following a significant life event. It lasts for a maximum duration of 6 months and mostly resolves spontaneously.